AMPLE history includes all of the following except;
1. Allergy.
2. Personal history.
3. Last meal.
4. Medication

Correct answer: 2. Personal history.

Explanation: AMPLE history is a useful mnemonic for this purpose:
Allergies
Medications currently used
Past illnesses/Pregnancy
Last meal
Events/Environment related to the injury